Mc. Murray's sign is seen in injury to
1. Medial meniscus
2. Medial collateral ligament
3. Anterior cruciate ligament
4. Posterior cruciate ligament

Correct answer: 1. Medial meniscus

Explanation: A i.e. Medial meniscus